Most common extracutaneous site of involvement in varicella infection?
1. Heart
2. Lungs
3. Liver
4. CNS

Correct answer: 4. CNS

Explanation: M/C extracutaneous complication is CNS involvement (cerebellar ataxia, encaphalits, aseptic meningitis).